Coagulation time of blood is prolonged in:
1. Hemophilia
2. Leukemia
3. Pernicious anaemia
4. Malignant neutropenia

Correct answer: 1. Hemophilia